Intractable peptic ulceration with renal stones occurs in -
1. Zollinger Ellison syndrome
2. Parathyroid adenoma
3. Milk, alkali syndrome
4. MEN I syndromeVicryl

Correct answer: 4. MEN I syndromeVicryl

Explanation: Ans. is 'd' i.e., MEN 1 syndrome